Amnesia is found in -
1. Head injury
2. Mania
3. Schizophrenia
4. Psychiatric state

Correct answer: 1. Head injury

Explanation: Amnesia is often caused by a traumatic injury to brain, such as a blow to the head. Other causes are degenerative brain diseases (e.g., Alzheimer's disease), blockage of cerebral blood vessels, infectious diseases, chronic alcoholism, and psychological (dissociative amnesia).